Insulin secretion is inhibited by all, EXCEPT:
1. Somatostain
2. B-adrenergic blockers ( propanolol)
3. B-ketoacids
4. Diazoxide

Correct answer: 3. B-ketoacids

Explanation: B-ketoacids is a stimulator of insulin secretion not an inhibitor. Factors affecting insulin secretion: Stimulators Inhibitors Glucose Somatostatin Mannose 2-deoxyribose Amino acids (leucine, arginine, others) Mannoheptulose Intestinal hormones (GIP, GLP-1 , gastrin, secretin, CCK, others ?) Alpha- adrenergic stimulators (nor-epinephrine, epinephrine) Beta-keto acids Beta-adrenergic blockers (propanolol) Acetylcholine Thiazide diuretics Glucagons Galanin Cyclic AMP and various cAMP-generating substance Diazoxide Beta-adrenergic stimulators K+ depletion Theophylline Phenytoin; Microtubule inhibitors Sulphonylureas Alloxan ; Insulin Ref: Ganong 23/e, page 326